Enterobacteriaceae is classified based on:
1. Mannitol fermentation
2. Catalase and oxidase reaction
3. Oxygen requirement
4. Lactose fermentation

Correct answer: 4. Lactose fermentation

Explanation: Ans. is. 'd' i. e., Lactose fermentation